All of the following are centrally acting antihypertensive drugs except:-
1. Alpha methyl dopa
2. Clonidine
3. Guanabenz
4. Trimethoprim

Correct answer: 4. Trimethoprim

Explanation: Stimulation of a2 receptors in CNS leads to decrease in sympathetic outflow Therefore, a2 agonists can decrease the sympathetic activity and are useful for the treatment of hypertension. These include: Clonidine a-methyl dopa Guanafacine Guanabenz